An adult patient weighting 70 kg has fasting blood sugar 180 mg/dl. He is having
1. Ketoacidosis
2. Hypoglycemia
3. Hyperglycemia
4. Thyroidism

Correct answer: 3. Hyperglycemia